Consider the following conditions? Urinary flow rate less than 10cc/second Residual volume or urine > 100cc Serum level of prostatic specific antigen > 10 mmol/litre Trabeculated urinary bladder Which of the above are indications of TRUP for BHP
1. 1, 2 and 3
2. 2, 3 and 4
3. 1, 2 and 4
4. 1, 3 and 4

Correct answer: 3. 1, 2 and 4

Explanation: Ans is c i.e. 1, 2 and 4